All of the following are anaerobic media except
1. Robertson cooked meat broth
2. Brain heart infusion agar
3. Egg yolk agar
4. CLED agar

Correct answer: 4. CLED agar

Explanation: CLED agar is a differential media.